A 3 year old boy was admitted to the hospital for high fever and difficulty in breathing. He had been well until 4 days before admission, when he developed sneezing and a runny and stuffy nose followed by a non-productive cough on next day. This was followed by appearance of characteristic rash on face, trunk, extremities and back along with fever. O/E, Shotty anterior cervical and supraclavicular lymph nodes. Hyperaemic conjunctiva Certain spots on buccal mucosa The white blood cell count was 3,100/ml, with a differential of 70 % polymorphonuclear leukocytes. All of the following are complications of the above disease EXCEPT?
1. Hecht Giant cell pneumonia
2. SSPE
3. Orchitis
4. Otitis media

Correct answer: 3. Orchitis

Explanation: This is a case of measles. The face is completely erythematous and there is an erythematous maculopapular rash on the trunk and extremities, with large confluent areas on the back. 3RD image shows the classical appearance of the Koplik spots, an exanthem (mucosal rash) that is felt to be pathognomonic (distinctly characteristic) of measles. Complications of measles: - Diarrhoea Otitis media Giant cell pneumonia Croup Malnutrition Mouth ulcers Retrobulbar neuritis SSPE Myocarditis Appendicitis Pneumothorax and Pneumomediastinum